Field defect seen in papilledema -
1. Seidel's scotoma
2. Constriction of peripheral fields
3. Centro-caecal scotoma
4. None of the above

Correct answer: 2. Constriction of peripheral fields

Explanation: In papilloedema, there is enlargement of blind spot and progressive constriction of visual field (visual field becomes smaller).